Mean head circumference at birth is?
1. 33-35 cm
2. 35-37 cm
3. 37-39 cm
4. 39-41 cm

Correct answer: 1. 33-35 cm

Explanation: Head circumference: Measured with a nonstretchable tape passing through the maximum point of occipital protuberance posteriorly and at a point just above the glabella anteriorly. If the head circumference is more than expected, always measure the both parents' head circumference, for benign familial macrocephaly is common. At birth, it is around 34 cm. HC increases by 2 cm/month for the first 3 months, 1 cm/month for next three months and 0.5 cm per month for next 6 months. Ref: Ghai Essential Pediatrics, ninth edition. pg. no. 35.